Which of the following insecticides is a natural Which of the product ?
1. Dieldrin
2. Pyrethrum
3. Parathion
4. Carbaryl

Correct answer: 2. Pyrethrum

Explanation: Ans. is 'b' i.e., Pyrethrum